Minimal change disease is/are caused by -
1. Rifampicin
2. IFN-α
3. Gold
4. All of the above

Correct answer: 4. All of the above